True regarding 3rd cranial nerve nuclei is:
1. Fibre for constrictor pupillae originate from Edinger Westphal nucleus
2. Situated in dorsal side of the midbrain
3. Connected to pretectal nuclei only on one side
4. Lie at the level of inferior colliculus

Correct answer: 1. Fibre for constrictor pupillae originate from Edinger Westphal nucleus

Explanation: Ans. A i.e. Fibre for constrictor pupillae originate from Edinger Westphal nucleusOculomotor nerve (CN III)It arises from the anterior aspect of mesencephalon (midbrain).There are two nuclei for the oculomotor nerve:The oculomotor nucleus originates at the level of the superior colliculus.The muscles it controls are the striated muscle in levator palpebrae superioris and all extraocular muscles except for the superior oblique muscle and the lateral rectus muscle.The Edinger-Westphal nucleus supplies parasympathetic fibres to the eye the ciliary ganglion, and thus controls the sphincter pupillae muscle (effecting pupil constriction) and the ciliary muscle (affecting accommodation).